In complete albinism the colour of iris is:
1. White
2. Black
3. Pink
4. Blue

Correct answer: 3. Pink

Explanation: Ans. Pink